Activator of alternative complent pathway -
1. Antigen-Antibody complex
2. Mannose-binding lectin
3. Bacterial surface polysaccharide
4. All of the above

Correct answer: 3. Bacterial surface polysaccharide

Explanation: Ans. is 'c' i.e., Bacterial surface polysaccharide o There are four pathways of complement system1) The classical activation pathway activated by antigen / antibody immune complexes.2) The mannose - binding lectin activation pathway activated by microbes with mannose terminal groups.3) The alternative activation pathway activated by microbes or tumor cells.4) The terminal pathway that is common to first three pathways and leads to the membrane attack complex that lyses cells.Microbial surface polysaccharide / lipopoly sacchoride (including endoxin) activates alternative pathway.